Lower lip carcinoma<lcm treatment-
1. Radiation
2. Chemotherapy
3. Excision
4. Radiation and chemotherapy

Correct answer: 3. Excision

Explanation: Ans. is 'c' i.e., Excision